Most common site of myocardial infarction is ?
1. Ant. wall of left ventricle
2. Post. wall of right ventricle
3. Post. wall of left ventricle
4. Inf. wall of left ventricle

Correct answer: 1. Ant. wall of left ventricle

Explanation: Ans. is 'a' i.e., Ant. wall of left ventricle